Optimal healthy life includes -
1. Moderate physical exercise
2. Sufficient nutrition
3. Mental peace
4. All of the above

Correct answer: 4. All of the above

Explanation: Determinants of health 

Following determinants of health provide good health, optimal health or positive health.

Genetic configuration → Genetic constitution of an individual can affect the health e.g. G-6-PD deficiency.
Level of development → Economic and social development helps to improve health status. 
Life style → Moderate physical activity, cessation of smoking and regular exercise prevent the occurence of CHD. Adequate nutrition, sound mind (mental peace) and enough sleep also promote health.
Environment → Proper sanitation, adequate safe drinking water and low level of atmospheric pollution promote health.
Health infrastructure → If primary health care facilities are available in the vicinity and such facilities are utilized by population, the health of individuals and communities is bound to improve.